All of the following provisions are included in the primary health care according to the Alma Ata declaration except
1. Adequate supply of safe drinking water
2. Provision of food supply
3. Provision of free medicines
4. Basic sanitation

Correct answer: 3. Provision of free medicines

Explanation: Ans. c. Provision of free medicines Primary Health Care The Alma Ata Conference has defined primary health care as -- an essential health care made universally accessible to individuals and acceptable to them, through their full participation and at a cost the community and country can The Alma -- Ata Declaration has outlined 8 essential components of primary health care Education concerning prevailing health problems and the methods of preventing and controlling themQ Promotion of food supply and proper nutritionQ An adequate supply of safe water and basic sanitationQ Maternal and child health care, including family planningQ Immunization against major infectious diseasesQ Prevention and control of locally endemic diseasesQ Appropriate treatment of common diseases and injuriesQ Provision of essential drugsQ The principles of primary health care include Equitable distributionQ Community participationQ Intersectoral co-ordinationQ Appropriate technologyQ